Which vaccine should not be given to a child suffering from convulsions ?
1. Measles
2. BCG
3. DPT
4. OPV

Correct answer: 3. DPT